Which of the following is derivative of mesonephric tubules in males
1. Epoophoron
2. Paroophoron
3. Paradidymis
4. Gartner duct

Correct answer: 3. Paradidymis